A 10 year old female presents with pain in the right hypochondrium, fever, jaundice and palpable mass in the right hypochondrium. The probable diagnosis is
1. Hepatitis
2. Hepatoma
3. Choledochal cyst
4. Mucocele gallbladder

Correct answer: 3. Choledochal cyst

Explanation: Choledochal cyst Cystic dilation of the biliary ducts, more common in females Clinical features. Classical triad : Pain, jaundice (intermittent) & abdominal mass(10%). Most common symptom in infants : Jaundice (in 80%) Most common symptom in patients >2 years of age : Abdominal pain. In children, the major clinical symptoms are recurrent abdominal pain (81.8%), nausea & vomiting (65.5%), mild jaundice (43.6%), an abdominal mass (29%), and fever (29%) In adukts, abdominal pain (87%), and jaundice (42%), and present frequently. Less common clinical findings include nausea (29%), cholangitis (26%), pancreatitis (23%), and an abdominal mass(13%) Ref: Sabiston 20th edition Pgno :1511